A 1-month-old infant is brought to the physician by her parents. She has had repeated bouts of bilious vomiting over the past month and cannot be fed adequately She is in the 10th percentile for weight and the 50th percentile for length. An upper GI series discloses marked narrowing of the midportion of the duodenum. What is the most likely cause of this infant's GI obstruction?
1. Annular pancreas
2. Duodenal polyp
3. Islet cell adenoma
4. Pancreatic pseudocyst

Correct answer: 1. Annular pancreas

Explanation: Annular pancreas is a congenital condition in which the head of the pancreas surrounds the second portion of the duodenum. The anomaly may be associated with duodenal atresia. Infants present with feeding disorders and growth retardation. Pyloric stenosis (choice E) involves the gastric outlet. Duodenal polyp (choice B) does not occur in infants.Diagnosis: Annular pancreas